Glucose transporter present in the RBC-
1. a) GLUT 1
2. b) GLUT 2
3. c) GLUT 3
4. d) GLUT 4

Correct answer: 1. a) GLUT 1

Explanation: Highest level of GLUT 1 is present in RBC.